A patient died and relatives complain that it is due to the negligence of the doctor. According to a recent Supreme court judgment, the doctor can be charged for Medical Negligence under section 304-A, only
1. If he is from corporate hospital
2. If negligence is from inadvertent error
3. Gross negligence
4. Res ipsa Loquitur

Correct answer: 3. Gross negligence

Explanation: According to a recent supreme court judgment, the doctor can be charged for medical negligence
Under section 304-A IPC (i.e. criminal negligence), only if he shows gross lack of competence/skill, gross inattention, or inaction or recklessness or wanton (gross) indifference to the patient's safety or, gross negligence.